Strawberry gingivitis is seen in?
1. Goodpasteur's syndrome
2. Classic polyarteritis nodosa
3. Wegener's granulomatosis
4. Kawasaki syndrome

Correct answer: 3. Wegener's granulomatosis

Explanation: Ans. is 'c' i.e., Wegener's granulomatosis * The most characteristic oral lesion in Wegener's granulomatosis is hyperplastic gingivitis, which is typically red to purple with many petechiae (strawberry gingivitis). These lesions may remain localized in the oral cavity for unusually long periods of time before multi-organ involvement occurs.